Complication of post mastectomy lymph accumulation is-
1. Metastases of cancer
2. Recurrence
3. Lymphosarcoma
4. Pain

Correct answer: 3. Lymphosarcoma